Chalazion is
1. An acute suppurative staphylococcal infection of glands of zeis or moll
2. A chronic non-infective, non-suppurative lipo-granulomatous inflammation of meibomian gland
3. An acute primary staphylococcal infection of meibomian gland
4. A viral infection commonly affecting children

Correct answer: 2. A chronic non-infective, non-suppurative lipo-granulomatous inflammation of meibomian gland